An increase in contractility is demonstrated on a Frank-Starling diagram by
1. Increased cardiac output for a given end-diastolic volume
2. Increased cardiac output for a given end-systolic volume
3. Decreased cardiac output for a given end-diastolic volume
4. Decreased cardiac output for a given end-systolic volume

Correct answer: 1. Increased cardiac output for a given end-diastolic volume

Explanation: The frank-starling law of the heart states that when increased quantities of blood flow into the heart, the increased blood stretches the walls of the heart chambers. As a result of the stretch, the cardiac muscle contracts with increased force, and this action empties the extra blood that has entered from the systemic circulation. For the heart, the length of the muscle fibers (ie, the extent of the preload) is proportional to the end-diastolic volume.